Corticospinal fibers pass through which part of internal capsule:
1. Posterior one-third of anterior limb
2. Anterior two-third of posterior limb
3. Posterior two-third of anterior limb
4. Anterior two-third of anterior limb

Correct answer: 2. Anterior two-third of posterior limb

Explanation: - Corticospinal fibers pass through the anterior two-third of the posterior limb of internal capsule. - Posterior 1/3 of posterior limb carries sensory fibers (including audio-visual pathways).